Post exposure prophylaxis of HIV is?
1. Raltregavir+ Emtricitabine + tenofovir
2. Zidovudine+ Lamivudine+ Indinavir
3. Zidovudine + lamivudine+ abacavir
4. Raltregavir + Emtricitabine + Maraviroc

Correct answer: 1. Raltregavir+ Emtricitabine + tenofovir

Explanation: Chance of person / Doctor getting HIV after prick from HIV positive is 0.3% Post Exposure Prophylaxis-Raltegravir + Emtricitabine + Tenofovir PEP not effective after 72 hours